Awakening the fundamental desire to learn is known as:
1. Motivation
2. Interest
3. Learning
4. Comprehension

Correct answer: 1. Motivation